ADH formation site is:
1. Pituitary
2. Hypothalamus
3. Pineal
4. None

Correct answer: 2. Hypothalamus

Explanation: Supraoptic and paraventricular nuclei synthesize ADH hormone, which travel along the axons of these neurons and is secreted from posterior pituitary.